In congestive cardiac failure all are true used except-
1. Spironlactone
2. Nitrates
3. Nesiritide
4. Trimetazidine

Correct answer: 4. Trimetazidine

Explanation: ACE inhibitors (lisinopril, captopril) Angiotensin converting enzyme (ACE) inhibitors reduce the amount of heart-damaging hormones your body produces. They also dilate blood vessels and lower blood pressure to lessen the workload of your heart Angiotensin receptor blockers (losartan) Angiotensin receptor blockers are similar to ACE inhibitors, but they don't cause the cough that some people have when taking ACE inhibitors. Common side effects of angiotensin receptor blockers: Dizziness Changes in kidney function Combination medicines (Entresto, or sacubitril/valsartan) Entresto is a medicine that combines the angiotensin receptor blocker (ARB) valsartan with a substance known as sacubitril that causes the heart to squeeze harder and can help your body eliminate excess fluid. The effect of this combination can be more powerful than either drug alone. Entresto is usually started after a person has been able to tolerate target doses of either an angiotension converting enzyme inhibitor (ACEI) or an angiotensin receptor blocker (ARB), so this is not usually the first medicine used to treat heart failure. It is currently only used if other medicines have not improved the heart's ability to pump effectively. If you are taking an ACEI (such as lisinopril or enalapril) you will need to stop that medication for 36 hours before starting Entresto. This is very important; not doing so could result in a serious reaction. Digoxin (Lanoxin) This medicine slows heart rate and might improve the pumping ability of your heart. You'll get a blood test to make sure the dose you're taking is right for you. Hydralazine and nitrates (Apresoline, Nitrobid, Imdur, Isordil) Hydralazine and nitrates are often used together to treat heart failure. They dilate blood vessels so it's easier for your heart to receive and pump blood. Aldosterone antagonist (spironolactone, eplerenone) These medicines prevent your body from producing too much of the hormone aldosterone that can damage your heart Ref Davidson 23rd edition pg 450